The most common site for metastasis from carcinoma of cheek:
1. Brain
2. Regional lymph nodes
3. Lung
4. Liver

Correct answer: 2. Regional lymph nodes